Double Bubble sign on abdominal skiagram is suggestive of:
1. Ileal atresia
2. Anorectal malformation
3. Bladder calculi
4. Duodenal Atresia

Correct answer: 4. Duodenal Atresia

Explanation: Ans. D: Duodenal Atresia Plain films are useful in assessing the level of the obstruction. Air-fluid levels in the stomach and duodenum (double-bubble sign), an important finding of acute duodenal obstruction, can also be seen on plain films.